Hypnogogic hallucinations are seen in ?
1. Depression
2. Mania
3. Narcolepsy
4. Schizophrenia

Correct answer: 3. Narcolepsy

Explanation: Ans. is 'c' i.e., Narcolepsy Narcolepsy This is characterized by excessive day time sleep, often disturbed night time sleep and disturbances in the REM sleep. Age of onset is between 10-20 years. There is irresistable desire to sleep and bouts of sudden sleep each lasting for 10-30 minutes occuring during day time. In majority of cases narcolepsy is associated with one or more accessory symptoms :? Cataplexy :- It is the most common accessory symptom and is characterized by sudden decrease in muscle tone either, local or generalized. Hypnagogic hallucination :- Hallucination occuring just before falling asleep. When hallucination occurs just before awakening it is called hyponopompic hallucinations. Sleep paralysis (least common).